Mechanism of action of Levetiracetam is
1. Blocking SV2A protein
2. Inhibiting reuptake of GABA
3. Inhibiting GABA transaminase enzyme
4. Calcium channel blocker

Correct answer: 1. Blocking SV2A protein

Explanation: Levetiracetam blocks SV2A which is a synaptic vesicular protein & inhibits release of excitatory neurotransmitters.